Lubipristone is a
1. Enkephalinase inhibitor
2. Guanylyl cyclase agonist
3. Chloride channel activator
4. 5HT4 agonist

Correct answer: 3. Chloride channel activator

Explanation: Lubipristone is a chloride channel activator used in treatment of IBS (Irritable bowel syndrome) with constipation.